Intra enamel depth preparation in porcelain laminate
veneer
1. 0.5 mm
2. 0.75 mm
3. 1 mm
4. 2 mm

Correct answer: 1. 0.5 mm